The presence of a drug on left side in the Log DRC tells about its
1. Potency
2. Safety
3. Efficacy
4. Therapeutic index

Correct answer: 1. Potency

Explanation: Dose Response Curve (DRC) - Hyperbola shape Log Dose Response Curve ( log DRC )- Sigmoid shape Three important Parameters a) Potency- Potency tells which drug produces more effect on lower dose. Left side graph is of more potent drug as compared to right side graph b) Efficacy- Efficacy tells maximum effect of a drug. It is seen from height of DRC. c) Slope- Slope tells the safety of the drug as more is the slope less is the safety. Quantal DRC - It tells about effect of drug in population Therapeutic index (TI) of a drug = LD50 / ED50 - TI is index of measure of safety.